A patient sore throat has a positive Paul Bunnel test. The causative organism is -
1. EBV
2. Herpesvirus
3. Adenovirus
4. CMV

Correct answer: 1. EBV

Explanation: Standard diagnostic test for EBV is Paul bunnel test REF:ANANTHANARYANAN TEXTBOOK OF MICROBIOLOGY 9EDITION PGNO.476